"Turtle neck sign" is associated with
1. Anencephaly
2. Extended breech
3. Shoulder dystocia
4. Congenital goiter

Correct answer: 3. Shoulder dystocia

Explanation: Inability to feel the neck of the baby, when fetal head retracts/recoils against the maternal perineum and external rotation is not accomplished as such there is inability to deliver the shoulders after the head has been delivered. This is an important sign to diagnose 'shoulder dystocia' after full dilatation of cervix. And this sign is known as turtle neck sign.